A severe blow to a permanent anterior tooth, not causing fracture frequently leads to
1. Permanent looseness
2. Immediate pulpal death
3. Pulpal death, but only if treatment is delayed too long
4. Pulpal death regardless of treatment

Correct answer: 4. Pulpal death regardless of treatment